A 2 month old baby boy shows ulcerative swelling seen on the ventral surface of his tongue. Imprints of the primary lower central incisors is seen on the lesion. Which of the following syndromes cannot be associated with this condition?
1. Ellis-van Creveld syndrome
2. Hallermann- Streiff syndrome
3. Pierre Robin syndrome
4. Van der Woude syndrome

Correct answer: 4. Van der Woude syndrome

Explanation: First described by Antonio Riga in 1881, with subsequent histological examinations by Francesco Fede in 1890, Riga-Fede disease is a condition of benign ulceration caused by repetitive trauma to the lingual tissues by the teeth.
Riga-Fede is the rare condition of benign ulceration caused by repetitive trauma to the lingual tissues by the teeth in children younger than two years of age. The differential diagnosis includes infective and neoplastic conditions. Histological diagnosis is required when the symptoms fail to resolve with standard management. 
The prevalence of natal teeth (teeth present at birth) and neonatal teeth (teeth that erupt during the first 30 days) is low. They found that about 85% of natal or neonatal teeth are mandibular primary incisors, and only small percentages are supernumerary teeth. It is common for natal and neonatal teeth to occur in pairs. They also reported that most premature tooth eruption seems to occur in otherwise normal infants, with or without a family history of the condition. In some infants, however, the presence of such teeth may be a localized manifestation of various environmental causes or an underlying syndrome, with the most common being Ellis-van Creveld syndrome, Hallermann- Streiff syndrome, Pierre Robin syndrome, and Sotos syndrome.